If biochemical test gives the same reading of early sample on reputed testing, it is inferred that the measurement is-
1. Precise
2. Accurate
3. Specific
4. Sensitive

Correct answer: 1. Precise

Explanation: . biochemical test gives the same reading of early sample on reputed testing, it is inferred that the measurement is-precise. ref:park's textbook ,22 nd edition,pg no 22